Skin test based on neutralization reaction is/are -
1. Casoni test
2. Lepromin test
3. Tuberculin test
4. Schick test

Correct answer: 4. Schick test

Explanation: Small amount (0.1 ml) of diluted (1/50 MLD) diphtheria toxin is injected intradermally into one arm of the person and a heat inactivated toxin on the other as a control. If a person does not have enough antibodies to fight it off, the skin around the injection will become red and swollen, indicating a positive result. This swelling disappears after a few days. If the person has an immunity, then little or no swelling and redness will occur, indicating a negative result. Ref: Ananthanarayan & Panikers textbook of microbiology 9th edition pg:112